Dip at 4000hz in pure Tone audiometry indicates:-
1. Otosclerosis
2. Meniere's disease
3. Noise induced hearing loss
4. Age related hearing loss

Correct answer: 3. Noise induced hearing loss

Explanation: 2000Hz / Carhart's Notch: seen in otosclerosis (CHL)4000Hz Dip/boiler's notch :seen in noise induced hearing loss (SNHL)Both are seen in bone conduction.